The following are the features of "dystocia dystrophica syndrome" except :
1. The patient is stockily built with short thighs
2. They have normal fertility
3. Android pelvis is common
4. Often have difficult labour

Correct answer: 2. They have normal fertility

Explanation: Dystocia dystrophia syndrome Charecteristic features Short Stocky Subfertile Android pelvis Delayed menarche Masculine hairline Reference D C Dutta Text Book of Obstetrics 7th edition, page no 349